Calcium absorption is increased by
1. Hypercalcemia
2. Oxalates in the diet
3. Iron overload
4. 1.25 Dihydrocholecalciferol

Correct answer: 4. 1.25 Dihydrocholecalciferol

Explanation: D. i.e. (1, 25 Dihydrocholecalciferol) (477- Ganong 22nd) (371-72- K-Sembulingam 4th)1, 25 Dihvdroxvcholecalciferol - is a steroid hormone synthesized from vitamin D by means of series of hydroxylation reactions in liver and kidneys* Main action is to increase the blood calcium level by increasing the calcium absorption from the small intestine*** Growth hormone - Increases the blod calcium level by increasing the intestinal calcium absorption *** Parathormone - main function is to increase the blood calcium level by mobilizing calcium from bone (resorption)* Calcium and glucocorticoids - decreases blood calcium by inhibiting intestinal absorption.Factors affecting calcium absorption from GITIncreased byDecreased by1. Acidity in the stomach2. Bile and bile salts - increase the solubility of Ca- salts3. Presence of phosphate in adequate amounts in the diets4. Hypo calcemia - seen during pregnancy and lactation: following low Ca intake5. Vitamin D3 - 1, 25 Dihydroxycholecalci- ferol (1,25 DHCC)6. Parathormone (PTH)7. Growth hormone (GH)8. High protein diet1. Presence of alkalies which form insoluble Ca soaps2. Reduce secretion of bile and bile salts - this leads to excess of unabsorbed fatty acids in the GIT which forms insoluble Ca soaps3. Excess of inorganic phosphates, oxalate or phytic acid - converts Ca++ into insoluble form4. Hypercalcemia - seen following high Ca intake which decreases the Ca absorption from the GIT by inhibiting 1.25 DHCC (910 - A,K. Jain 3rd)